A 30-year old male presents with severe pain chest, breathlessness, hypotension and ECG shows ST elevation in V3, V4, V5 and V6 leads. He will be best treated with :
1. Streptokinase
2. t-PA
3. Heparin
4. PTCA

Correct answer: 4. PTCA